Nasion lies at the junction of
1. Frontonasal and internasal suture
2. Frontonasal and interparietal suture
3. Frontonasal and frontozygomatic suture
4. Frontogomatic and internasal suture

Correct answer: 1. Frontonasal and internasal suture

Explanation: The nasion is the point where the internasal and frontonasal sutures meet. It lies a little above the floor of the depression at the root of the nose, below the glabella. Nasion is termed as the central point of the frontonasal suture. Ref: BD Chaurasia's HUMAN ANATOMY, Volume 3, 4th edition.